Investigation of choice for acoustic neuroina :
1. CT without contrast
2. CT with contrast
3. MR without contrast
4. MR with contrast

Correct answer: 4. MR with contrast

Explanation: MR with contrast